Which of the following is not a major Framingham criteria in CHF:
1. Cardiomegaly
2. Paroxysmal nocturnal dyspnea
3. S3 gallop
4. Hepatomegaly

Correct answer: 4. Hepatomegaly

Explanation: Answer is D (Hepatomegaly) The Framingham Heart Study Criteria: Major Criteria Minor Criteria * Paroxysmal nocturnal dyspnea * Ankle edema * Neck vein distension * Night cough * Rates * Hepatomegaly * Cardiomegaly * Pleural effusion * Acute pulmonary edema * Vital capacity reduced by one third from predicted * S3 gallop * Tachycardia (? 120) * Increased venous pressure (> 16 cm) * Circulation time > 25s * Hepatojugular reflux positive Major or minor criterion * Weight loss of more than 4.5 kg over 5 days in response to treatment Definite CHF * Two major criteria or one major and two minor criteria.